Unfolded proteins are handled by
1. Chaperones
2. Histones
3. Proteases
4. Proteosomes

Correct answer: 1. Chaperones

Explanation: Abnormal folding of proteins may lead to prion diseases. Chaperones help to produce the correct spatial arrangement. Chaperones attach to nascent polypeptide chains and prevent wrong foldings so that folding is allowed only in the correct direction.Ref: DM Vasudevan - Textbook of Biochemistry, 7th edition, page no: 604